Syndrome associated with increased risk of leukemia is:
1. Plummer Vinson syndrome
2. Klinefelter syndrome
3. Sturge Weber syndrome
4. Multiple hamartoma sydrome

Correct answer: 2. Klinefelter syndrome

Explanation: Genetic disease association of Lympho-haematopoietic malignancies:
Acute leukaemia occurs with increased frequency with a variety of congenital disorders such as:

Down’s syndrome
Bloom’s syndrome
Klinefelter’s syndrome
Wiskott-Aldrich’s syndrome

Mohan H. Textbook of pathology. Jaypee Brothers Medical Publishers; 2015. Edition 7. Page 334